Nucleus of basal ganglia is?
1. Dentate
2. Caudate
3. Thalamus
4. Red nucleus

Correct answer: 2. Caudate

Explanation: Ans. B. CaudateThe basal ganglia are a group of structures found deep within the cerebral hemispheres (a group of subcortical nuclei). The structures generally included in the basal ganglia are the caudate, putamen, and globus pallidus in the cerebrum, the substantia nigra in the midbrain, and the subthalamic nucleus in the diencephalon.